TRUE about deep palmar arch
1. Main contribution is by ulnar artery
2. Lie superficial to lumbricals
3. Gives three perforating branches
4. Gives four palmar metacarpal arteries

Correct answer: 3. Gives three perforating branches

Explanation: Deep palmar arch- Fed by radial artery, Lies deep to lumbricals Gives three perforating and three palmar metacarpal arteries.